Pregnenolone is not in the biosynthetic pathway of which substance?
1. Cortisol
2. Estrogen
3. DHEA
4. 1,25(OH)2D

Correct answer: 4. 1,25(OH)2D

Explanation: All the steroids listed include pregnenolone early in their biosynthetic pathway. 1,25(OH)2D is derived from vitamin D and does not include pregnenolone in its biosynthetic pathway.